One of the following staining method is an example of negative staining -
1. Graim's staining
2. Fontana's staining
3. India ink preparation
4. Ziehl-Neelsen staining

Correct answer: 3. India ink preparation

Explanation: Why is it necessary to use stained preparations in microbiology?

Live bacteria do not show much structural details under the light microscope due to lack of contrast.
Hence it is customary to use staining techniques to produce colour contrast.


Methods are -